In ankylosing spondylitis, radiological change are first seen in -
1. Sacro-iliac joints
2. Intervertebral ligament
3. Vertebral bodies
4. Intervertebral discs

Correct answer: 1. Sacro-iliac joints